The inner surface of ceramic veneer is etched with
1. 50% Phosphoric acid
2. 30% Polyacrylic acid
3. 35% Citric acid
4. 5% Hydrofluoric acid

Correct answer: 4. 5% Hydrofluoric acid